Normal function of peritoneum is all EXCEPT:
1. Fibrinolytic
2. Peritoneal fluid provides nourishment to Gut
3. Free movement of viscera
4. Removes excess fluid and particulates

Correct answer: 2. Peritoneal fluid provides nourishment to Gut

Explanation: ANSWER: (B) Peritoneal fluid provides nourishment to GutREF: Grays anatomy, 39th edition, page 1127, CSDT, 13e Chapter 22Functions of peritoneum are:Both secretion and absorption of peritoneal fluid (fluid exchange wdth the extracellular fluid space at rates of 500 mL or more per hour)The fluid lubricates the visceral peritoneum and allows the mobile viscera to glide freely on the abdominal wall and each other within the limits dictated by their attachmentsPeritoneal fluid contains water, proteins, electrolytes and solutes derived from interstitial fluid in the adjacent tissues and from the plasma in the local blood vessels. It normally contains a few cells, including desquamated mesothelium, peritoneal macrophages, mast cells, fibroblasts, lymphocytes and other leukocytes.Lymphocytes provide both cellular and humoral immunological defense mechanisms within the peritoneal cavity.Complement-mediated antibacterial activityParticulate matter, including bacteria up to 20 mm in size is cleared via stomas in the diaphragmNormally, there is less than 50 mL of free peritoneal fluid, a transudate with the following characteristics: specific gravity below 1.016, protein concentration less than 3 g/dL, white blood cell count less than 3000/L, complement-mediated antibacterial activity, and lack of fibrinogen-related clot formation.